Axis artery of lower limb is derived from -
1. Natal artery
2. 1st lumbar intersegmental artery
3. 5th lumbar intersegmental artery
4. Sacral artery

Correct answer: 3. 5th lumbar intersegmental artery

Explanation: Ans. is 'c' i.e., 5th lumbar intersegmentsl artery Axis arteryo During fetal life (development), each limb is supplied by an axis artery that is derived from intersegmental arteries,o The axis artery runs along the central axis of the limb.Axis artery Upper limbLower limbDerived fromSeventh cervical intersegmental artery' (Subclavian artery)Fifth lumbar intersegmental arteryAdult derivativesi) Axillary arteryii) Branchial arteryiii)Anterior interosseous arteryiv)Deep palmar archi) Inferior gluteal arteryii)Arteria nervi ischiadic!iii) Popliteal artery above popliteusiv) Lower part of peroneal arteryv) Some parts of plantar arch.